All are live vaccines except:
1. BCG
2. Yellow fever
3. Salk vaccine
4. Measles

Correct answer: 3. Salk vaccine

Explanation: Ref: Park 's Textbook of Preventive and Social Medicine. 22nd edition. Page 99Explanation:Live vaccinesKilled vaccine Heat killedToxoidBCGTyphoidTetanusMeaslesCholeraDiphtheriaYellow feverPertussis MeaslesPlague RubellaRabies Tyhoid (Oral)Polio (Salk) InfluenzaHepatitis A MumpsHepatitis B JE KFD Characteristics of Killed Vs Live VaccineCharacteristicKitted VaccineLive VaccineNumber of dosesMultipleSimileNeed for adjuvantYesNoDuration of immunityShorterLongerEffectiveness of protectionLowerGreaterImmunoglobulins producedteGIgA and IgGMucosal immunity producedPoorYesCell mediated immunity producedPoorYesResidual virulent virus in vaccinePossibleNoReversion to virulenceNoPossibleExcretion of vaccine virus and transmission to non-immune contactsNoPossibleInterference by other viruses in hostNoPossibleStability at room temperatureHighLow